All of the following structures pass through the superior aperture of thorax except
1. Right recurrent laryngeal nerve
2. Left common carotid artery
3. Left sympathetic trunk
4. Thoracic duct

Correct answer: 1. Right recurrent laryngeal nerve

Explanation: Left common carotid artery, left sympathetic trunk, thoracic duct pass through Superior inlet of thorax.while not right recurrent laryngeal nerve. BD chaurasia's human anatomy volume1 6th edition. Page no 192.picture 12.12